Which of the following does not present with hemoptysis:
1. Mitral stenosis
2. Pulmonary embolism
3. Empyema
4. Bronchiectasis

Correct answer: 3. Empyema

Explanation: Ans. C: Empyema The origin of blood can be known by observing its color. Bright red, foamy blood comes from the respiratory tract while dark red, coffee-colored blood comes from the gastrointestinal tract. Sometimes hemoptysis may be rust colored. Causes of hemoptysis includes: Lung cancer, including both non-small cell lung carcinoma and small cell lung carcinoma. Sarcoidosis Aspergilloma Tuberculosis Histoplasmosis Pneumonia Foreign body aspiration and Aspiration pneumonia Goodpasture's syndrome Wegener's granulomatosis Bronchitis Bronchiectasis Pulmonary embolism Anticoagulant use Trauma Lung abscess Mitral stenosis Tropical eosinophilia